Most common cause of cataract is:
1. Trauma
2. DM
3. Age related
4. Hereditary

Correct answer: 3. Age related

Explanation: Ans. C: Age related Age-related/senile cataract is the most common cause of catarcat. It may be of significance that as age progresses the semipermeability of the capsule is impaired, the inactive insoluble proteins increase, and the antioxidative mechanisms becomes less effective. The normal lens contains sulphydryl-containing reduced glutathione and ascorbic acid, both of which decrease with age and in cataract.